An HIV patient developed goitre. On examination there was non-tender diffuse enlargement of thyroid. All of the following can be cause of it, except:
1. Toxoplasma
2. Cryptococcus
3. Aspergillus
4. Pneumocystic

Correct answer: 3. Aspergillus

Explanation: Ans. c. Aspergillus